The most common route of spread in hepatitis E is:
1. Blood transfusion
2. Feco-oral
3. Intercourse
4. IV injection

Correct answer: 2. Feco-oral

Explanation: Answer is B (Feco-oral) Hepatitis E is synonymous with Enterically transmitted non-A non-B Hepatitis. The infection caused by hepatitis E is essentially a water borne disease- Water or Food supplies, contaminated with feces in which the virus is excreted, have been implicated in major outbreaks reported in all parts of the world